The Most common complication in varicose vein surgery is
1. Ecchymosis
2. Deep vein thrombosis
3. Recurrence of varicosity
4. Venous ulcer

Correct answer: 1. Ecchymosis

Explanation: (A) Ecchymosis # Complications of varicose vein surgery: Bruising and discomfort are common following removal of varices, especially where the veins were of very large diameter. However, the pain usually requires only mild analgesics.